About interferon true is
1. It is a synthetic antiviral agent
2. Inhibits viral replication in cells
3. Is specific for a particular virus
4. No role in cellular processes

Correct answer: 2. Inhibits viral replication in cells

Explanation: The interferons (IFNs) are critical cytokines that play a key role in defense against virus infections and other intracellular organisms, such as Toxoplasma gondii. Although the IFNs were first identified as antiviral proteins, they are now recognized as critical immunoregulating proteins capable of altering various cellular processes, including cell growth, differentiation, gene transcription, and translation. The IFN family consists of three groups. Type I IFNs comprise numerous genes and primarily include IFN-a and IFN-b. Type II IFN consists of a single gene that produces IFN-g. IFN-l is a third group of IFN-like cytokines that have more recently been described. Ref:Harper 27e 130